Foaming liver is seen in
1. Actinomycosis
2. Gas gangrene
3. Organophosphorus poisoning
4. Sepsis

Correct answer: 2. Gas gangrene

Explanation: Gas Gangrene Clinical features Severe local wound pain and crepitus (gas in the tissues, which may also be noted on plain radiographs) The wound produces a thin, brown, sweet smelling exudate, in which Gram staining will reveal bacteria Gas and smell are characteristic (Myonecrosis) If septicemia occurs, gas may be produced in the other organs, notably liver known as 'foaming liver' Edema and spreading gangrene follow the release of collagenase, hylauronidase, other proteases and alpha toxin Early systemic complications with circulatory collapse and multi organ failure follow if prompt action is not taken Ref: Harrison's 19th edition Pgno :992